True about point source epidemic are all except -
1. The curve has rapid rise and slow decline
2. All cases occur in one incubation period
3. One single peak only
4. No secondary curves

Correct answer: 1. The curve has rapid rise and slow decline

Explanation: Epidemic curve of point source epidemic has -

Rapid rise    
Rapid fall  
No secondary wave